Anticholinesterases with effect on CNS is
1. Neostigmine
2. Pyridostigmine
3. Physostigmine
4. Edrophonium

Correct answer: 3. Physostigmine

Explanation: Refer kDT 6/e p 101 Because it enhances the transmission of acetylcholine signals in the brain and cancross the blood-brain barrier,physostigmine salicylate is used to treat anticholinergic poisoning (that is, poisoning by substances that interfere with the transmission of acetylcholine signaling, such as atropine, scopolamine,